Specificity measures-
1. True negative
2. False positives
3. True positives
4. None of the above

Correct answer: 1. True negative

Explanation: Ref :Parks 23rd edition pg 139 Specificity = TN / (TN + FP) Specificity is defined as the ability of a test to identify correctly all those who do not have the disease, that is "true negatives".